A 19-year-old woman with asthma has a chronic rash with distribution on her hands, neck, and elbow creases. It is very itchy, and the skin appears thickened with increased skin markings. There are some areas of fissures in the skin at the elbow creases and hands. Which of the following is the most appropriate advice?
1. psychoanalysis
2. warm clothing
3. dry environment
4. environmental manipulation

Correct answer: 4. environmental manipulation

Explanation: A change of environment is among the best treatments for atopic dermatitis. The patient should be kept in as dust-free an environment as possible and should not wear rough garments. Maintenance of adequate humidity is also important.